Myelination in peripheral nervous system is done by-
1. Astrocytes
2. Oligodendrocytes
3. Ependymal cells
4. Schwann cells

Correct answer: 4. Schwann cells

Explanation: Ans. is 'd' i.e., Schwann cells * Myelination in central nervous system - Oligodendrocytes* Myelination in peripheral nervous system - Schwann cell